Putrefaction is delayed in which poisoning?
1. Lead
2. Arsenic
3. Mercury
4. Copper

Correct answer: 2. Arsenic

Explanation: ANSWER: (B) ArsenicREF: Parikh 6tK edition page 3.26Putrefaction is delayed in poisoning of:ArsenicAntimonyCarbolic acidStrychnine (Nux vomica)Zinc oxideAlso know:Rate of putrefaction in different medium is determined my (Casper's Dictum) AIR > WATER > EARTH (8:2:1)First internal sign of putrefaction is "Greenish discoloration of under surface of liver"First external sign of putrefaction is "Greenish discoloration of flank over caecum"Larynx & Trachea is first organ to putrefyBone is the last tissue to putrefyProstate and non-gravid uterus are relatively resistant to putrefaction (last to putrefy if bone is not available in options)